Which of the following should not be used in the ROSACEA?
1. Isoetretin
2. Metronidazole
3. Steroids
4. Benzoyl peroxide

Correct answer: 3. Steroids

Explanation: ROSACEA is a Vascular disorder predominantly affecting flush areas of face manifesting as erythema and telangiectasia, punctuated with episodes of inflammation during the episodes of inflammation papules, pustules and swelling develop. It has a chronic course. Treatment: a. Oral tetracyclines are drug of choice. b. Topical erythromycin and benzoyl peroxide are also helpful. c. Topical metronidazole is also effective. oral doxycycline and minocycline can also be given. d. The role of topical steroids is limited. e. With halogenated steroids rebound phenomenon and perioral dermatitis is known to occur. Hence their use is not justified. f. Isotretinoin can be used if no response to above drugs. The use of the topical steroid should be limited to the condition. The use of nonsteroidal anti-inflammatory drugs (NSAIDs) does not necessary prevent steroid induced rosacea. Similar conditions have been seen with both Elidel and Protopic, possibly from immunosuppression and Demodex or bacterial growth. Ref Robbins 9 e pg 456